The earliest symptom of acoustic nerve tumor is -
1. Sensorineural hearing loss
2. Tinnitus
3. Vertigo
4. Otorrhea

Correct answer: 1. Sensorineural hearing loss